Normal vital capacity of lungs is-
1. 500ml
2. 1200ml
3. 3000 ml
4. 4700 ml

Correct answer: 4. 4700 ml

Explanation: Ans. is 'd' i.e., 4700 ml Respiratory Volumes and Capacities for an Average Young Adult Male Measurement Typical value Definition Respiratory volumes 1. Tidal volume (TV) 500 ml Amount of air inhaled or exhaled in one breath during relaxed, quiet breathing 2. Inspiratory reserve volume (IRV) 3000 ml Amount of air in excess of tidal inspiration that can be inhaled with maximum effort 3. Expiratory reserve volume (ERV) 1200 ml Amount of air in excess of tidal expiration that can be exhaled with maximum effort 4. Residual volume (RV) 1200 ml Amount of air remaining in the lungs after maximum expiration, keeps alveoli inflated between breaths and mixes with fresh air on next inspiration Respiratory Capacities 5. Vital capacity (VC) 4700 ml Amount of air that can be exhaled with maximum effort after maximum inspiration (ERV+TV+IRV); used to assess strength of thoracic muscles as well as pulmonary function 6. Inspiratory capacity (IC) 3500 ml Maximum amount of air that can be inhaled after a normal tidal expiration (TV + IRV) 7. Functional residual capacity (FRC) 2400 ml Amount of air remaining in the lungs after a normal tidal expiration (RV + ERV) 8. Total lung capacity (TLC) 5900 ml Maximum amount of air the lungs can contain (RV + VC)